All are true about type 1 schizophrenia except?
1. Acute illness
2. Good prognosis
3. Negative symptoms
4. Intellect maintained

Correct answer: 3. Negative symptoms

Explanation: Ans. is 'c' i.e., Negative symptoms Type I (Reactive or acute schizophrenia) Type II (Process schizophrenia) Characteristic symptoms Type of illness Response to neuroleptics Outcome Intellectual impairment Etiology Positive symptoms (Hallucination,Acute Delusion, Thought) Good Reversible Absent Dopamine overactivity Good Negative symptoms (Affect flattening, poverity of speech loss of drive Chronic Poor Long standing Sometimes present Structural changes in brain (dilated ventricle on CT scan Poor